With reference to varicocele , which one of the following is not true of it ?
1. Varicosity of cremastric veins
2. Left side is affected usually
3. Feels like a bag of worms
4. May lead to infertility

Correct answer: 1. Varicosity of cremastric veins

Explanation: VARICOCELE:- Dilatation and tortuosity of the pampiniform plexus and so also the testicular veins. Common in tall thin young men. More common on the left side, but often can be bilateral. Etiology:- 1. Absence or incompetent valve at the junction of left testicular vein and left renal vein causing inefficient drainage of blood. 2. Perpendicular entry of the left testicular vein into left renal vein. 3. Idiopathic In left sided renal cell carcinoma, tumor proliferates into left renal vein and blocks the entry of left testicular vein causing varicocoele on left side which is irreducible. Varicocoele causes increased temperature in scrotum which depresses the spermatogenesis and so causes infertility. Types- primary and secondary. Clinical features:- 1. Swelling in the root of the scrotum. 2. Dragging pain in the groin and scrotum 3. Bag of worms feeling 4. Impulse on coughing 5. On lying down, it gets reduced . Bow sign- after holding the varicocele between thumb and fingers , patient is asked to bow. Varicocoele gets reduces the blood flow of testicular vein and pampiniform plexus causing reduction in size. {Reference: SRB's manual of surgery, 5th edition , page no. 1076}